Which is a non absorbable suture ?
1. Polypropylene
2. Polyglycolic acid
3. Collagen
4. All

Correct answer: 1. Polypropylene

Explanation: Ans. is 'a' i.e., Polypropylene